FEVI/FVC is decrease in:
1. Asthma
2. Kyphosis
3. Scoliosis
4. Fibrosis

Correct answer: 1. Asthma

Explanation: Answer is A (Asthma): Decreased FEV1/FVC suggests a diagnosis of Obstructive Lung Disease. Amongst the options provided Asthma is the only condition that leads to Obstructive Pattern of Lung Disease and hence is the answer of choice Kyphosis, Scoliosis and Fibrosis are Restrictive Lung Diseases that are characterized by Normal or Elevated FEVI/FVC ratios.